Average period in days a hospital bed remains vacant between one discharge and another admission is known as:
1. E interval
2. B interval
3. T interval
4. V interval

Correct answer: 3. T interval

Explanation: Average period in days a hospital bed remains vacant between one discharge and another admission is known as T interval. The value of T may be positive or negative. A negative T is indicative of scarcity of bed and overutilization. Ref: Textbook of community medicine, S. Lal, 3rd edition pg: 685.